Anterior uveitis is characterized by all except
1. Aqueous flare
2. Shallow anterior chamber
3. Circumcorneal congestion
4. Miosis

Correct answer: 2. Shallow anterior chamber

Explanation: Various shape & size of anterior chamber in anterior uveitis


Normal
Funnel-shaped: In-ring synechiae
Deep : In complete posterior synechiae